What is the full form of Dicom?
1. Digital imaging and communications in medicine
2. Direct imaging and colors in medicine
3. Dependent interconnectivity in medicine
4. Digital information and connectivity in medicine

Correct answer: 1. Digital imaging and communications in medicine

Explanation: Ans. Digital imaging and communications in medicine